Following is not a possible effect of a dentigerous cyst on surrounding tissue:
1. Resorption of cortex
2. Resorption of adjacent teeth
3. Displacement of floor of the maxillary antrum
4. Expansion of outer cortical boundary of involved jaw

Correct answer: 1. Resorption of cortex

Explanation: Effects on Surrounding Structures
A dentigerous cyst has a propensity to displace and resorb adjacent teeth. It commonly displaces the associated tooth in an apical direction. The degree of displacement may be considerable. For instance, maxillary third molars or cuspids may be pushed to the floor of the orbit, and mandibular third molars may be moved to the condylar or coronoid regions or to the inferior cortex of the mandible. The floor of the maxillary antrum may be displaced as the cyst invaginates the antrum, or a cyst may displace the inferior alveolar nerve canal in an inferior direction. This slow-growing cyst often expands the outer cortical boundary of the involved jaw. As in the case with radicular cysts, dentigerous cysts that invaginate the sinus can drain and collapse with new bone formation at the periphery.
Ref: Oral radiology White and Pharaoh; 7th ed. Page no 338